Charcot Leyden crystal in stool is seen in?
1. Amoebic dysentery
2. Bacillary dysentery
3. Shigella
4. Bacillus cereus

Correct answer: 1. Amoebic dysentery

Explanation: ANSWER: (A) Amoebic dysenteryREF: Harrison's 18tn ed chapter 60See previous question for explanation